Hypoglycemia is associated with all, EXCEPT:
1. Fibroma
2. Soft tissue sarcoma
3. Small cell carcinoma of lung
4. Hepatocellular carcinoma

Correct answer: 3. Small cell carcinoma of lung

Explanation: Answer is C (Small cell Ca of lung) Small cell carcinoma is associated with hyperglycemia, as a result of production of cushing's syndrome. Tumors associated with hypoglycemia: Harrison 16th/e 2180 1 . Insulinoma 3. Hepatoma 2. Soft tissue sarcomas : 4. Adrenocortical tumors * Fibrosarcoma 5. Carcinoid * Mesothelioma 6. Leukaemia/Lymphoma * Rhabelomyosarcoma 7. Melanoma * Liposarcoma. 8. Teratoma